Wreden's test is to demonstrate:
1. Live birth
2. Insanity
3. Putrefaction
4. Assault

Correct answer: 1. Live birth

Explanation: Ans. Live birth